Most common tumour of heart is
1. Myxoma
2. Rhabdomyosarcoma
3. Fibroma
4. Leiomyosarcoma

Correct answer: 1. Myxoma

Explanation: Ref Harrison 19 th ed pg 1577: 289e-1 Myxomas are the most common type of primary cardiac tumor in adults, accounting for one-third to one-half of all cases at postmortem examination, and about three-quarters of the tumors treated surgically. They occur at all ages, most commonly in the third through sixth decades, with a female predilection. Approximately 90% of myxomas are sporadic; the remainder are familial with autosomal dominant transmission.